Well defined lesion in the lung with pop corn calcification on X-ray is suggestive of:
1. Ca lung
2. Adenoma
3. Hamartoma
4. Hvdatid cyst

Correct answer: 3. Hamartoma

Explanation: Ans. Hamartoma